Aspirin is used for ischemic heart disease:
1. Inhibit TXA2 synthesis
2. Inhibit prostacyclin
3. Inhibit COX 2
4. Inhibit synthesis of endothelin

Correct answer: 1. Inhibit TXA2 synthesis

Explanation: Ans. A. Inhibit TXA2 synthesisAspirin is irreversible COX inhibitor. At low dose 40-325mg they act as antiplatelet agent. They inhibit TXA2 synthesis which is platelet aggregator but also inhibit PGI2 which is platelet anti aggrator. But the net effect is TXA2 inhibition.